A young boy presents to the ophthalmology department with decreased vision, six months after being hit by a tennis ball in the eye. Which of the following findings on optical examination is suggestive of Blunt injury to the eye?
1. Optic Neuritis
2. Pars Planitis
3. Vitreous base detachment
4. Equatorial edema

Correct answer: 3. Vitreous base detachment

Explanation: Blunt injury to the eye can lead to hyphaema, detachment (due to haemarrhage), dislocation of lens, damage to macula, damage to drainage angle of the eye, orbital fracture or cataract as a late effect. Out of all the options given vitreous detachment is the best suited. Ref: BC of eyes: Volume 1 - Page 31.